Osborne waves in ECG are seen in -
1. Hypothyroidism
2. Hypothermia
3. Hypocalcemia
4. Hypokalemia

Correct answer: 2. Hypothermia

Explanation: Ans. is 'b' i.e.? Hypothermia o Osborne waves also called J waves are typically seen in Hypothermia.o J-wave is positive defection (> l mm) seen at the junction of QRS complex and ST segment and present in two consecutive beats.# The mean vector axis of the J-wave is oriented anteriorly, inferiorly and leftward across the left ventricle and septum.# J-waves are present in 80% of patients with temperature less than 35degC# The amplitude of J wave inversely related to the degree of hypothermia.Moderate hypothermia# (28X - 32X1) is associated with presence of j waves in inferior and lateral leads increase in PR and QT intevals.Severe hypothermia# Additional ECG changes in severe hypotherma > 28X may' include J waves in all leads absence of P waves and frequent ventricular arryhthmias.o J waves are not pathognomonic of hypothermia as they> are also seen in normothennic patients.# It is the most specific change seen in hypothermiaCauses of J waves in normothermic individualso Acute ischemic eventso Coccaine useo Haloperidol over useo left ventricular hypertrophyo Hypercalcemiao Brugada s syndromeo CMS injuryo After resuscitation of cardiac arrest.